True regarding RMP is all except
1. -70 mV in neurons
2. Is due to K+ ions
3. Na+ - K+pump 3 Na+out of cell & 2K+ inside
4. Na+ - K+ pump 3K+ out of cell & 2 Na+ inside of cell

Correct answer: 4. Na+ - K+ pump 3K+ out of cell & 2 Na+ inside of cell

Explanation: RMP of nerve Fibre is - 70mV. Na+K+ATPase pump out 3Na+ in exchange for only 2K+. (REF: DISEASES GANONG'S REVIEW OF MEDICAL PHYSIOLOGY)